Goldenhar syndrome includes:
1. Epibulbardermoid auditory appendics.
2. Vertebral involvement.
3. Both.
4. None.

Correct answer: 3. Both.

Explanation: Hemifacial microsomia/occuio auricular vertebral dysplasia/GOLDENHAR syndrome. Origin and migration of NEURAL Crest cell (also seen in Treacher Collin syndrome)